Which of the following is true about varicocele except?
1. Incompetent valves of testicular vein are responsible for varicocele
2. 90% are on the left side
3. Asymptomatic cases require surgery
4. Femoral catheterization with spermatic vein ablation is done in recurrence

Correct answer: 3. Asymptomatic cases require surgery